All of the following drugs are used in the management of acute Myocardial infarction except
1. Tissue plasminogen activator
2. Intravenous beta Mockers
3. Acetylsalicylic acid
4. Calcium channel blockers

Correct answer: 4. Calcium channel blockers